Which is not a uricosuric drug?
1. Allopurinol
2. Probenecid
3. Sulphinpyrazone
4. Benzbromarone

Correct answer: 1. Allopurinol

Explanation: Ans. A. AllopurinolUricosuric drugs are those which don't effect the synthesis of uric acid and they cause the secretion of it urine. All the drugs, except allopurinol is uricosuric. Allopurinol is drug which inhibit the xanthine oxidase enzyme which further decrease the production of uric acid. It is drug of choice for chronic gout.